Serum amyloid associated protein is found in
1. Alzheimer's disease
2. Chronic inflammatory state
3. Chronic renal failure
4. Malignant hypertension

Correct answer: 2. Chronic inflammatory state

Explanation: Ref Robbins 9/e p257;8/e 251-252;7/e pg 159 * The AA (amyloid-associated) fibril is a unique nonim- munoglobulin protein derived from a larger (12-kDa)